Bronze diabetes is seen in
1. Wilson's disease
2. Sarcoidosis
3. Lead intoxication
4. Hemochromatosis

Correct answer: 4. Hemochromatosis

Explanation: Refer Robbins page no Pg 9th edition 849 Fortunately, hemochromatosis can be diagnosed long before irreversible tissue damage has occurred. Screening involves demonstration of very high levels of serum iron and ferritin, exclusion of secondary causes of iron over- load, and liver biopsy if indicated. Screening of family members of probands is important. Heterozygotes also accumulate excessive iron, but not to a level that causes significant tissue damage. Currently most patients with hemochromatosis are diagnosed in the subclinical, precir- rhotic stage due to routine serum iron measurements (as part of other diagnostic workup). Treatment by regular phlebotomy steadily depletes tissue iron stores. With treat- ment, life expectancy is normal.